Newborn is presented with microcephaly, Chorioretinitis, Limb hypoplasia  & Cicatrising lesion of hands. Most probable diagnosis is
1. Herpes simplex
2. Congenital varicella syndrome
3. CMV
4. Rubella

Correct answer: 2. Congenital varicella syndrome

Explanation: Congenital varicella syndrome

Microcephaly
Chorioretinitis
Limb hypoplasia
Cicatrizing lesion